All are true except-
1. Exotoxin has enzymatic action
2. Endotoxin has enzymatic action
3. Exotoxin is highly antigenic
4. Endotoxin is weakly antigenic

Correct answer: 2. Endotoxin has enzymatic action

Explanation: Difference between Exotoxin and Endotoxin S. No. EXOTOXIN ENDOTOXIN 1. 2. 3. 4. 5. 6. 7. 8. 9. 10. 11. Proteinaceous Heat labile Actively secreted by bacteria Can be separated from cultures easily Enzymatic action Specific Pharmacological effect for each toxin Specific tissue affinity Highly antigenic Active in very minute doses Action neutralized by specific antibody Can be toxoided Lipopolysaccharides Heat stable Part of cell wall Obtained only by cell lysis Not enzymatic action Nonspecific effect No specific tissue affinity Weakly antigenic Active only in large doses Not neutralized by antibody Cannot be toxoided 12. Produced mostly by gram positive bacteria Produced mostly by gram negative bacteria